A young man is prescribed parenteral antibiotics for respiratory tract infection. He collapses immediately after receiving the first dose, with tachycaiidia,wheezing,and a drop in blood pressure. The most appropriate immediate interventions this situation would be to administer -
1. Intravenous saline
2. Intravenous hydrocortisone
3. Subcutaneous epinephrine
4. Nebulized salbutamol

Correct answer: 3. Subcutaneous epinephrine

Explanation: anaphylactoid reactions usually manifest in the skin and gastrointestinal, respiratory, and cardiovascular systems. Primary symptoms and signs include pruritus, urticaria, nausea, vomiting, abdominal cramps, bronchospasm, laryngeal edema, and, occasionally, anaphylactic shock with hypotension,and death. They occur within minutes of drug exposure. Nonsteroidal anti-inflammatory drugs (NSAIDs), including aspirin, and radiocontrast media are frequent causes of direct mast cell degranulation or anaphylactoid reactions, which can occur on first exposure. Penicillins and muscle relaxants used in general anesthesia are the most frequent causes of IgE-dependent reactions to drugs, which require prior sensitization. ref:harrison's principles of internal medicine,ed 18,pg no 3132